Treatment of mooren’s ulcer is?
1. Topical steroids
2. Corneal graft
3. Immunosuppressives
4. All of the above

Correct answer: 4. All of the above

Explanation: MOORE'S ULCER

Moorhens Ulcer/ chronic serpiginous or rodent ulcer is a severe inflammatory peripheral ulcerative keratitis.
Treatment:


Topical corticosteroids
Immunosuppressives with systemic steroids, e.g. cyclosporine
Soft contact lens
Lamellar or full thickness corneal grafting.